Devesh is working as a CEO in a company. He has a traveling job. He is a known diabetic controlled on oral hypoglycemic drugs. On his recent visit to the doctor, his blood pressure was found to be 164/102 mm Hg. Most suitable drug for this patient should be?
1. Propanolol
2. Enalapril
3. Clonidine
4. Hydrochlorthiazide

Correct answer: 2. Enalapril

Explanation: (Ref: KDT 6/e p541, 544, 546) Thiazides and b-blockers are contra-indicated in diabetic patients. As the patient has frequent travelling job, he is likely to miss the doses. Therefore, clonidine should be avoided to prevent rebound hypertension. ACE inhibitors are safe and effective agents in diabetic patients with hypertension.